All of the following cause high anion gap metabolic acidosis except:
1. Lactic acidosis
2. Salicylats poisoning
3. Ethylene glycol poisoning
4. Ureterosigmoidostomy

Correct answer: 4. Ureterosigmoidostomy

Explanation: Ans. is 'd' ureterosigmoidostomy Causes of High anion gap acidosisLactic acidosisToxinsEthylene glycolMethanolSalicylatesRenal failureKetoacidosisDiabetesAlcoholStarvation